Alkaline diuresis is treatment of choice in poisoning with-
1. Benzodiazepine
2. Barbiturates
3. Dhatura
4. Morphine

Correct answer: 2. Barbiturates

Explanation: Ans. is 'b' i.e., Barbiturate poisoning o Elimination of poison from circulation can be by following methods :-Forced diuresis with or without alteration of urinary pH# Diuresis and ion trapping via alteration of urinary' pH may prevent the renal reabsorption of poisons that under go excretion by glomerular Alteration and active tubular secretion. Forced diuresis may be of following typesAlkaline diuresis : Poisons which are trapped and excreted in alkaline urine are barbiturates (phenobarbitone), chlorpropamide, diffiinisol, sulfonamides and salicylates.Acid diuresis : It is done for amphetamines, cocaine, strychnine, phencyclidine, quinidine, quinine, chloroquine, TCA and tocainide.Saline diuresis: It is useful for alcohol, thallium, bromide, lithium, fluoride, chromium, potassium and isoniazide.Extracorporai removal therapiesy These ait peritoneal dialysis, hemodialysis, hemoperfusion (resin oreharcol), hemo filtration, plasmapheresis and exchange transfusion. Commonly used procedures are :-Haemodialysis : It is useful in poisoning writh alcohol (ethanol and methanol), aspirin (salicylates), acetone, atenolol, acetaminophan, barbiturates (phenobarbitone), bromide, boric acid, chloral hydrate, ethylene glycol, fluoride, lithium, trivalent arsenic, procainamide, theophylline, thiocyanate, sodium chlorate and sotalol. Hemodialysis is not useful in copper sulphate, benzodiazepines, organophosphates, kerosine and digitalis poisonings.o In all poisonings, wfhere hemodialysis is indicated peritoneal dialysis is also used with one more indication of mercury poisoning,Hemoperfusion (chorcol or resin): It is used in acetaminophen, barbiturates carbamazepine, chloral hydrate, caffeine, CCI4, chloramphenical, phenytoin, procainamide, salicylates, theophylline, valproate, dapsone and methotrexate.